On stopping Alcohol, all the following changes are reversible EXCEPT:
1. Hepatitis
2. Cirrhosis
3. Micro vesicular fatty change
4. Macro vesicular fatty change

Correct answer: 2. Cirrhosis

Explanation: "Alcoholic cirrhosis is the final and irreversible form of alcoholic liver disease usually evolves slowly and insidiously”